Which of the following is the most specific test for rheumatoid arthritis ?
1. Anti- MCV antibody
2. Anti cardiolipin antibody
3. Anti Mi-2 antibody
4. Anti Ro antibody

Correct answer: 1. Anti- MCV antibody

Explanation: Answer- A. Anti- MCV antibodyThe newly developed antimutateil citruIlinated vimenti (Anti MCV assay) have been tasted for the diagnosis of P.A.Their main advantage is early appearance making early detection of R.A.Anti MCV antibodies show strong conehtion with the disease activity, disease severity aqd the success of therapy.